All are true regarding aortic arch derivatives except:
1. Pulmonary artery develops from 6th arch
2. Maxillary artery derives from 1st arch
3. All 6 arches are not present simultaneously
4. 5th arch is absent in 5% of embryos

Correct answer: 4. 5th arch is absent in 5% of embryos

Explanation: D i.e. 5th arch is absent in 5% of embryos - All 6 aortic arches are not present simultaneously. In 50% of embryos 5deg' arch is never formedQ.- There is formation of maxillary artery from 15t archQ; hyoid & stapedial arteries from 2nd arch; common, internal & external carotid from 3rd archQ; arch of aorta & right subclavian artery from left & right 4th arch respectivelyQ; and pulmonary artery from 6deg' aortic archyQ